Which of the following drugs are believed to be effective in the treatment of post operative shivering
1. Ondansetron
2. Diclofenac sodium
3. Pethidine
4. Parcetomol

Correct answer: 3. Pethidine

Explanation: Pethidine is most effective drug for treatment of post operative shivering. Other drugs that can be used for this purpose are Clonidine Doxapram Ketanserin Alfentanil Refer anaesthesiology by Longnecker 1485